An infant has hepatorenomegaly, hypoglycemia, hyperlipidemia, acidosis and normal structured glycogen deposition in liver. What is the diagnosis ?
1. Her's disease
2. Von Gierke's disease
3. Cori's disease
4. Anderson's disease

Correct answer: 2. Von Gierke's disease

Explanation: Ans. is 'b' i.e., Von Gierke's disease Von-Gierke disease (Type I glvcogenosis) o It is an autosomal recessive disorder. o It is due to absent or deficient activity of glucose-6-phosphatase in Liven Kidney, Intestinal mucosa o It can be divided into two subtypes ? i) Type Ia glucose - 6 - phosphatase is defective ii) Type Ib Translocase is defective (translocase transports glucose-6-phosphatase across microsomal membrane).